Gas shadow in heart and great vessels appears in-
1. IUD
2. Abortion
3. Still birth
4. None

Correct answer: 1. IUD

Explanation: Ans. is 'a' i.e., IUD o In intrauterine death (IUD), there is gas in great vessels and chambers of heart - Robert's Sign.